All enzyme activity is increased in fasting state Except
1. Acetyl - CoA carboxylase
2. Carnitine acyl transferase
3. PEPCK
4. Pyruvate carboxylase

Correct answer: 1. Acetyl - CoA carboxylase

Explanation: MetabolismRegulatory enzymesLipid metabolism Fatty acid oxidation Carnitine acyl transferase 1KetogenesisHMG CoA synthaseLipolysis Hormone sensitive lipaseCarbohydrate metabolism Glycogenolysis Glycogen phosphorylase Gluconeogenesis Pyruvate carboxylasePhospho enol pyruvate carboxykinase (PEPCK)Fructose1,6 bisphosphataseGlucose-6-phosphatase(Refer: DM Vasudevan, Textbook of Biochemistry, 7th edition, pg no: 102-103)